Pancytopenia with cellular marrow is seen in:
1. PNH
2. G6PD deficiency
3. Acquired aplastic anemia
4. Thalassemia

Correct answer: 1. PNH

Explanation: Answer is A (PNH) Amongst the options provided PNH is the single best answer of choice.